In JVP 'c' wave indicates which of the following cardiac events?
1. Atrial filling
2. Atrial contraction
3. Ventricular filling
4. Ventricular contraction

Correct answer: 4. Ventricular contraction

Explanation: The 'c' wave is the transmitted manifestation of the rise in atrial pressure produced by bulging of the tricuspid valve into the atria during isovolumetric contraction. 'a' wave is atrial systole, 'v' wave rise in atrial pressure before tricuspid valve opens during systole.